All are true about Retained Antrum Syndrome except:
1. Technetium 99 m scan is used for diagnosis
2. Seen after Billroth II surgery
3. Positive Secretin Stimulation Test
4. Calcium Provocation test is negative

Correct answer: 3. Positive Secretin Stimulation Test

Explanation: Ans. (c) Positive Secretin Stimulation testRef: Internet SourcesRetained Antrum Syndrome:* A complication following Billroth 2 Reconstruction, in which part of antrum and pylorus is left along with the duodenum.* Characterized by excess secretion of Gastrin from retained antrum exposed to alkaline medium in Duodenum and hence continuous stimulus goes on for Gastrin from G cells in retained Antrum.* Increased Gastrin produces recurrent ulcer.* Billroth 1 operation will not have such complications.* Serum Gastrin levels increases to the extent of Zollinger Ellison Syndrome, the only way to differentiate from ZES is by Secretin Stimulation test will not cause increase in Gastrin in Retained Antrum Syndrome as seen in ZES.* The disease may respond to PPI, but definitive treatment is re resection of retained antrum.* Tc 99m Scan is the IOC to detect the retained Antrum* Secretin Stimulation test is positive for ZES but negative for Retained Antrum Syndrome.* Similarly, there is Calcium Provocation test is also positive only for ZES and negative for all other cases of Hypergastrinemia like Retained Antrum Syndrome, Gastric Outlet Obstruction and Chronic Renal failures.